All of the following drugs can prolong bleeding except
1. Cephalosporins
2. Multiple vitamin K tablets
3. Methylxanthines
4. Anti depressants

Correct answer: 2. Multiple vitamin K tablets

Explanation: Vitamin K activates clotting factors 2,7, 9 & 10 and decreases chances of bleeding.